N-MYC amplification is associated with which tumor?
1. Burkitt lymphoma
2. Squamous cell carcinoma lung
3. Astrocytoma
4. Neuroblastoma

Correct answer: 4. Neuroblastoma